Which is the most specific tumor marker for melanoma:
1. Tyrosinase
2. Vimentin
3. S-100
4. HMB-45

Correct answer: 4. HMB-45

Explanation: HMB-45 is the most specific tumor marker for melanoma. S-100 is most sensitive.